All are signs /features of ectopic pregnancy on USG except
1. Pseudo sac
2. Hyprechoic ring
3. Adenexal mass
4. Echogenic mass with multicystic spaces within endometrial cavity

Correct answer: 4. Echogenic mass with multicystic spaces within endometrial cavity

Explanation: D i.e. Echogenic mass with multicystic spaces within endometrial cavity